Puerperium is the period:
1. 6 wks. following delivery
2. 3 wks. following delivery
3. 1 wk. following delivery
4. None of the above

Correct answer: 1. 6 wks. following delivery

Explanation: Ans. A. 6wks following deliveryPuerperium begins as soon as the placenta is expelled and lasts for approximately 6wks when the uterus becomes regressed almost to the nonpregnant size.